Virus responsible for infectious mononucleosis is
1. RNA paramyxo virus
2. Varicella zoster virus
3. Epstein Barr virus
4. Coxsackie virus A 16

Correct answer: 3. Epstein Barr virus